The spike of fever in malaria is at the time of release of ?
1. Sporozoites
2. Hypnozoites
3. Merozoites
4. None

Correct answer: 3. Merozoites

Explanation: Ans. is 'c' i.e., Merozoites